Which of the following is absent in normal pulp
1. Mast cells
2. Antigen presenting cells
3. T lymphocytes
4. Macrophages

Correct answer: 1. Mast cells